Thinnest part of lens is
1. Anterior pole
2. Posterior pole
3. Posterior capsule
4. Apex

Correct answer: 2. Posterior pole

Explanation: Lens capsule is a thin, transparent, hyaline membrane surrounding the lens which is thicker over the anterior than the posterior surface. The lens capsule is thickest at pre-equator regions(14u) and thinnest at the posterior pole (3u) Ref;A.K.Khurana; 6th edition; Page no:179